Role of marijuana in AIDS related cachexia is -
1. Decrease the infectivity
2. Improves CD4 count
3. Increasing the appetite
4. Improves the immunity

Correct answer: 3. Increasing the appetite

Explanation: Ans. is 'c' i.e., Increasing the appetiteo Wasting and appetite loss affects cancer and HIV patient standard therapy for cachexia intravenous or tube feeding as standard therapy for cachexia intravenous or tube feeding as well as treatment with megestrol acetate (an appetite stimulant)o Marijuana is renowned for its ability to stimulate appetite.o HIV patients undergoing antiretroviral drug therapy experience nausea,, vomiting extreme pain and loss of appetite. Numerous medications and the HIV virus itself affect the intestinal lining and interference with the absorption of nutrients.o Medical marijuana has been allowed for the treatment of cachexia in some u.s. states.